The major function of major intrinsic protein-26 (MIP-26) is:
1. Glucose transport in lens
2. Transport of water in lens
3. Diffusion barrier
4. Capsule of lens

Correct answer: 2. Transport of water in lens

Explanation: Ans. Transport of water in lens